Infliximab ?
1. CD 20 antagonist
2. IL6 antagonist
3. Chimeric antibody against TNF alpha
4. Chimeric antibody against Her2-neu

Correct answer: 3. Chimeric antibody against TNF alpha

Explanation: Ans. is 'c' i.e., Chimeric antibody against TNF alpha